Where does Chaperones assist in?
1. Protein Cleavage
2. Protein Folding
3. Protein Degradation
4. Protein Modification

Correct answer: 2. Protein Folding

Explanation: (B) Protein Folding[?]CHAPERONES: Chaperone proteins participate in the folding of over half of all mammalian proteins.ohsp70 (70 kDa heat shock protein) family of chaperones binds short sequences ofoHydrophobic amino acids that emerge while a new polypeptide is being synthesized, shielding them from solvent.oChaperones prevent aggregation, thus providing an opportunity for the formation of appropriate secondary structural elements and their subsequent coalescence into a molten globule.oProteins function only when they are approximately folded to be in their native conformation, primary structure determines the 3D structure.oHowever, many proteins require assistance of accessory proteins - Protein disulfide isonerases, proline cis-trans isomirases & chaperones.oChaperone proteins, though do not change final outcome of folding, present protein aggregation prior to completion of folding & prevent formation of metastable dead end or non productive intermediates hsp70 KDA.oSome proteins which can not complete their folding in the pressure of hsp70 are delivered to the hsp60 (Gro EL) also called Chaperonins - long cylindrical multi-sub unit structures bind unfolded polypeptides - have ATPase activity and hydrolyze ATP as the facilitate folding.oChaperones are also required for refolding of proteins after they cross cellular membranes.[?]ROLE OF MOLECULAR CHAPERONES:oProteins also block the folding of certain proteins that must remain unfolded until they have been translated across a membrane.oFacilitate the quaternary assembly of oligometric proteinsoProtect both proteins subject to denaturation by heat and new peptide molecules being synthesized (and not yet folded).oFacilitating correct folding pathways or providing micro environments in which folding can occur.oTransduction of protein from synthesized to target organs.oContribute folding of signaling transduction proteins (steroids hormone receptor & tyrosine kinase receptor by HSP90)oContribute degrade of misfolding proteins.[?]Molecular ChaperonesoLarge group of unrelated protein families whose role is to stabilize unfolded proteins, unfolded them for translocation across membranes or for degradation, and/or to assist in their correct folding and assembly.oFolding of Proteins in Vivo Is Promoted by Chaperones